True about anatomy of adult cornea:
1. Horizontal diameter is 12 mm
2. Horizontal diameter is 10 mm
3. In megalocornea diameter is >12 mm
4. Vertical diameter> Horizontal diameter

Correct answer: 1. Horizontal diameter is 12 mm

Explanation: Ans. Horizontal diameter is 12 mm